Spleniculi are seen most commonly in:
1. Colon
2. Hilum
3. Liver
4. Lungs

Correct answer: 2. Hilum

Explanation: Spleniculi or accessory spleens are most commonly ( about 80% ) seen at the hilum of the spleen. Also know: Location of accessory spleen in decreasing order are: Splenic hilum Gastrocolic ligament Tail of pancreas Greater omentum Greater curvature of stomach Splenocolic ligament Small and large bowel mesentery Left broad ligament of women Left spermatic cord in men Ref: Schwartz 9/e, Page 1246; Bailey & Love 25/e, Page 25/e, Page 1103